Not true regarding uveitis
1. Intermediate uveitis: pars plana
2. Festooned pupil: posterior synechiae
3. Arlts line: Triangle shaped aggregation of Keratic precipitates
4. Complication: Polychromatic lusture cataract

Correct answer: 3. Arlts line: Triangle shaped aggregation of Keratic precipitates

Explanation: Arlt's triangle and not Arlt's line seen In the Uveitis Anterior uveitis: Iris + pars plicata - Most common sign: Cells. - circumcorneal congestion, flare, hypopyon, iris atrophy, iris nodules, posterior synechiae - narrow pupil/ ectropion uveae/ occlusion pupillae, complicated cataract (bread crump polychromatic lusture), Increased IOP, pappilitis - Most common symptom: Photophobia ARLT's Triangle Festooned Pupil Intermediate Uveitis: Pars plana & ciliary body inflammation * Most common symptom: Floaters * Snowball opacities * MC complication of Pars planitis- Posterior Subcapsular Cataract. * MC complication of loss of vision - Cystoid macular edema